True about sphenoid sinus:
1. Lined by staified squamous epithelium
2. Duct open in middle meatus
3. Open in sphenoethmoid recess
4. Present at birth

Correct answer: 3. Open in sphenoethmoid recess

Explanation: All paranasal sinuses are lined by respiratory epitheliumi.e option a is incorrect. sphenoid sinus:Important points it is not present at birth it occupies the body of sphenoid ostrum of sphenoid sinus is situated in the upper part of anterior wall and drains intlo spheno ethmoidal recess on x ray sphenoid sinus is visible by 4 years of age. Ref Dhingra 6/e,p 188